Which of the following is a vinodilator
1. Hydralazine
2. Minoxidil
3. Nitroprusside
4. Nifedipine

Correct answer: 3. Nitroprusside

Explanation: Ref-Katzung 10/e p173-174 Hydralazine, minoxidil and nifedipinen are primary arteriolar dilators whereas nitroprusside is a mixed Arteriolar and Venous delator therefore best answer here seems to be nitroprusside